The age of a 16 years old female is best determined by the radiograph of -
1. Lower end of radius and Ulna
2. Upper end of humers
3. Upper end of radius and ulna
4. Xiphisternum

Correct answer: 1. Lower end of radius and Ulna